Coarctation of Aorta is most commonly associated with-
1. Bicuspid Aortic valve
2. Patent Dustus Arteriosus (PDA)
3. HOCM
4. Atrial Septal Defect (ASD)

Correct answer: 1. Bicuspid Aortic valve

Explanation: Coarctation of Aorta is most commonly associated with Bicuspid Aortic valve and Ventricular Septal Defect (VSD) Ref Davidson 23rd edition pg 456